All of the following are considered as first rank symptoms of Schizophrenia EXCEPT
1. Thought broadcast
2. Third person auditory hallucination
3. Somatic passivity
4. Anhedonia

Correct answer: 4. Anhedonia

Explanation: (D) Anhedonia # First Rank Symptoms (SFRS) of Schizophrenia:> Hallucinations:> Audible thoughts: Voices speaking out thoughts aloud or 'thought echo'> Voices heard arguing: Two or more hallucinatory voices discussing the subject in third person> Voices commencing on one's action> Thought Alienation Phenomena Thought withdrawal: Thoughts cease and subject experiences them as removed by external force Thought insertion: Subject experiences thoughts imposed by some external force on his passive mind. Thought diffusion or broadcasting: Subject experiences that his thoughts are escaping the confines of his self and are being experienced by others around.> Passivity Phenomena 'Made' feelings or affect 'Made' impulses 'Made' volition or acts. In 'made' effects, impulses and volitions, the subject experiences feelings, impulses or acts, which are imposed by some external force. In 'made' volition, one's own acts are experienced as being under the control of some external force, the subject being like a robot. Somatic passivity: Bodily sensations, especially sensory symptoms imposed on body by some external force> Delusional perception: Normal perception has a private and illogical meaning.> Anhedonia is lack of interest/pleasure and is seen significantly in depression.